All of the following can be used to treat heroin dependence except
1. Disulfiram
2. Buprenorphine
3. Clonidine
4. Lofexidine

Correct answer: 1. Disulfiram

Explanation: Disulfiram is given for alcohol withdrawal. Buprenorphine is used as a maintaining drug in opioid addicts as it has a lesser degree of tolerance and dependence liability. Clonidine and lofexidine are alpha 2 agonists used to depress autonomic withdrawal symptoms like nausea, vomiting, anxiety and diarrhoea. Ref: KD Tripathi 8th ed.